Danger space of pharynx is bounded by
1. Buccopharyngeal fascia anteriorly and alar fascia posteriorly
2. Prevertebral fascia anteriorly and vertebral body posteriorly
3. Alar fascia anteriorly and prevertebral fascia posteriorly
4. Tonsils anteriorly and superior constrictor muscle posteriorly

Correct answer: 3. Alar fascia anteriorly and prevertebral fascia posteriorly

Explanation: Ref:- Dhingra; pg num:-268